Impetigo contageosa most commonly due to :
1. Group B Streptococcous
2. Staphylococcus
3. Moniliasis
4. Streptococcus Viridans

Correct answer: 2. Staphylococcus

Explanation: B i.e. Staphylococcus